In glomerulus subendothelial deposits are seen jib -
1. Good pasture syndrome
2. IgA nephropathy
3. MPGN type I
4. MPGN type II

Correct answer: 3. MPGN type I

Explanation: Repeated Question.